Dramatic self-mutilation occurring in schizophrenia is called:
1. Pfropf Schizophrenia
2. Capgras syndrome
3. Van Gogh syndrome
4. Oneiroid schizophrenia

Correct answer: 3. Van Gogh syndrome

Explanation: Ans. C. Van Gogh syndromePfropf schizophrenia: schizophrenia in a patient with intellectual disabilityVan Gogh syndrome: Name after painter who cut his own ear. Characterized by self-mutilation (injuring self) occurring in schizophrenia